Stapedial artery is derived from which aortic arch:
1. 1
2. 2
3. 3
4. 4

Correct answer: 2. 2

Explanation: Ans. B 2Ref: Netter's Atlas of Human Embryology: 2012 ed. pg. 88* There are six pairs of aortic arches which develop in cephalo-caudal direction.* The 5th aortic arch completely disappears whereas 1st and 2nd disappear partially.* The stapedial artery is derived from the 2nd aortic arch.* Inferior alveolar artery is derived from the 1st aortic arch.